Predominant extracellular ions area) Na+b) K+c) Cl-d) HCO3-e) PO4-
1. abc
2. ad
3. bc
4. acd

Correct answer: 4. acd

Explanation: Predominant Ions
ECF- Na+, Cl-, HCO3-, Ca+2
 
ICF- K+, Mg+2, protein,  PO4-